In hepatic cirrhosis, which of the following is increased -
1. Alpha 1 globulin
2. Alpha 2 globulin
3. Gamma globulin
4. All of the above

Correct answer: 3. Gamma globulin